All are risk factors for preterm delivery except:
1. Absence of fetal fibronectin at <37 weeks
2. Previous history of preterm baby
3. Asymptomatic cervical dilatation
4. Chlamydial infection of genital tract

Correct answer: 1. Absence of fetal fibronectin at <37 weeks

Explanation: Ans. is a, i.e. Absence of fetal fibronection at <37 weeksRef. Fernando Arias 4/eRisk factors for preterm labor: have been discussed in Ans. 1Fetal fibronectinIt is a fetal glycoprotein found in the cervicovaginal discharge before 22 weeks and again after rupture of membranes.Levels of fibronectin >50mg/ml indicates preterm delivery (not absence of fibronectin).